The best way for identification of a person is
1. Photography
2. Dactylography
3. Anthropometry
4. X ray determination

Correct answer: 2. Dactylography

Explanation: Dactylography or Galton system Fingerprints are impressions of patterns formed by the papillary ridges of fingers. In modern times, fingerprints stand as the unique identification data. Fingerprints match is widely accepted as the most reliable evidence of identification. The possibility of another person having the same fingerprints is one in 64 thousand million. i. e. three times the population of the world. Even in identical twins, the fingerprint will be different. Fingerprints do not change throughout life unless damage has occurred to the dermal skin layer. Ref: FORENSIC MEDICINE AND TOXICOLOGY Dr PC IGNATIUS THIRD EDITION PAGE NO 97